Regarding amblyopia which of following is true:
1. Reversible loss of vision
2. Associated with squint
3. Defect in refractive error
4. All

Correct answer: 4. All

Explanation: A. i.e. Reversible loss of vision; B. i.e Associated with squint; C. Defect in refractory error